Which of follow is a non ionic contrast agent ?
1. Ioxoglate
2. Iohexol
3. Iothalamate
4. Amidotrizoate

Correct answer: 2. Iohexol

Explanation: Ioxoglate is ionic dimer contrast agent Iohexol is non ionic monomer contrast agent Iothalamate and Amidotrizoate are ionic monomer contrast agents Also remember : Iodixanol and iotrolan are non ionic dimer contrast agents